CPD in absence of gross pelvic abnormality can be diagnosed by
1. Ht of mother < 158 cms
2. Trial of labor
3. X ray pelvimetry
4. Pelvic examination

Correct answer: 2. Trial of labor

Explanation: Best method to rule out CPD is trial of labor Best investigation MRI